The symptoms of menopause are best treated with:
1. Oestrogen
2. Progesterone
3. Testosterone
4. Clomiphene

Correct answer: 1. Oestrogen

Explanation: Symptoms of menopause are best treated with oestrogen. Oestrogen has been found to be effective in the prevention of osteoporosis, treatment of vasomotor symptoms, and treatment of vulvovaginal atrophy. Complications associated with use of estrogen are: Endometrial Cancer: estrogen stimulation of the endometrium, unopposed by progesterone, causes endometrial proliferation, hyperplasia, and, finally, neoplasia. Breast Cancer Thromboembolic Disease Stroke Uterine Bleeding Gallstone disease Generalized edema, mastodynia and breast enlargement Contraindications of estrogen replacement therapy: Undiagnosed abnormal vaginal bleeding Suspected, or history of cancer of the breast Suspected estrogen-dependent neoplasia Active deep vein thrombosis Pulmonary embolism History of these conditions:arterial thromboembolic disease (myocardial infarction, stroke); liver dysfunction or disease. Ref: Nathan L. (2013). Chapter 59. Menopause & Postmenopause. In A.H. DeCherney, L. Nathan, N. Laufer, A.S. Roman (Eds), CURRENT Diagnosis & Treatment: Obstetrics & Gynecology, 11e.